All are true about Lyon's hypothesis except?
1. Only one of X chromosomes is genetically active
2. Only X chromosome from the mother undergoes pyknosis
3. Inactivation occurs on 16th day of embryonic life
4. Gene Xist causes gene silencing

Correct answer: 2. Only X chromosome from the mother undergoes pyknosis

Explanation: Ans. (b) Only X chromosome from the mother undergoes pyknosisRef: Robbin's pathology 9th ed. /164Lyon hypothesis is:* Only one of the X chromosome is genetically active* Other X chromosome which can be of paternal or maternal origin undergoes pyknosis and is rendered inactive.* Inactivation of either paternal or maternal X chromosomes occurs at random among the cells of blastocyst by about 16th day of embryonic life* Inactivation of X is because of a gene called Xist which is causing gene silencing DNA methylation.